Iodised salt is given in an area endemic to Goiter. Type of prevention:
1. Health promotion
2. Specific protection
3. Primordial prevention
4. Treatment

Correct answer: 2. Specific protection

Explanation: Ans. (b) Specific protectionRef : K. Park 23rd ed. / 41, 370-73* Iodised salt is given in an area which has risk of developing goiter. This is a primary level of prevention done by specific protection.* Primordial prevention is done before the emergence of risk factor.